CRP increases in all EXCEPT:
1. Osteoarthritis
2. Rheumatoid arthritis
3. Reactive arthritis
4. Psoriatic arthritis

Correct answer: 1. Osteoarthritis

Explanation: ANSWER: (A) OsteoarthritisREF: Harrison's 17th ed chapter 325CRP raisedCRP not raisedChronic inflammatorv arthritisChronic non inflammatory arthritis* Pauciarticular JRA* Osteoathrtis* Reactive arthritis* Osteonecrosis* Psoriatic arthritis* Charcot's arthritis* Rheumatoid arthritis